Ascending pharyngeal artery is a branch of
1. Middle branch of ECA.
2. Medial branch of ECA.
3. Terminal branch of ECA.
4. Anterior branch of ECA.

Correct answer: 2. Medial branch of ECA.